Which of the following antibiotics acts by inhibiting cell wall synthesis?
1. Cefepime
2. Aminoglycosides
3. Erythromycin
4. Doxycycline

Correct answer: 1. Cefepime

Explanation: Ans. is 'a' i.e. Cefepime